The most common extranodal site for non-hodgkin lymphoma is
1. Stomach
2. Brain
3. Intestine
4. Tonsils

Correct answer: 1. Stomach

Explanation: *Lymphomas are divided broadly into Hodgkins and Non-Hodgkin's lymphomas. *Two-thirds of Non-Hodgkin's lymphoma present as generalized lymphadenopathy(Nodal sites).*One third of the cases present at an extranodal site. *Extra nodal sites include the gastrointestinal tract, upper aerodigestive tract, salivary glands, eye, mediastinum, lung, pleura, heart, spleen, liver etc. *The most common extranodal site is gastrointestinal tract, in which stomach is involved most often.